Passivating alloys are
1. Cr, Al, Ti
2. Cr, Mo, Ti
3. Cr, Fe, Mo
4. Cr, Gold, Ti

Correct answer: 1. Cr, Al, Ti

Explanation: A thin surface oxide forms on chromium, which is a good example of a passivating metal. The most common example is stainless steel, which contains sufficient amounts of chromium added to iron and its alloys to passivate the alloy.
Titanium (Ti) also forms a passivating titanium oxide film, which is of interest, since both commercially pure Ti and alloys in which Ti is a major component are used for a variety of dental applications, such as cast restorations, orthodontic wires, endodontic instruments and implants.
Phillips 12th edition page 45